The following is an example of atypical antipsychotic
1. Olanzapine
2. Haloperidol
3. Amitriptyline
4. Zuclopenthixol

Correct answer: 1. Olanzapine

Explanation: K.D Tripathy essentials of medical pharmacology 7th edition . *atypical antipsychotics are olanzapine,clozapine,risperidone,quetiapine,aripiprazole *haloperidol belongs to butyrophenones antipsychotic *amitriptyline is TCAs *zuclopenthixol belongs to thioxanthene antipsychotics.